Use of aspirin in a diabetic patient can result in:
1. Hyperglycemia.
2. Hypoglycemia.
3. Ketoacidosis.
4. Alkalosis.

Correct answer: 2. Hypoglycemia.